What is meant by PET scan ?
1. Positive Emission Tomography
2. Positron Emission Tomography
3. Positron Energy Tomography
4. Positive Energy Tomography

Correct answer: 2. Positron Emission Tomography

Explanation: PET stands for positron emission tomography